Milk ejection reflex is mediated by the hormone:
1. Oxytocin
2. Vasopressin
3. Growth hormone
4. Thyroxin

Correct answer: 1. Oxytocin